Lateral Medullary Syndrome involves all of the following cranial nerves, Except:
1. Vth CN
2. IXth CN
3. Xth CN
4. XII CN

Correct answer: 4. XII CN

Explanation: Answer is D (XII CN): Cranial Nerve XII is involved in the Medial medullary syndrome and not in Lateral medullary syndrome. Lateral Medullary Syndrome involves the spinal nucleus of the trigeminal nerve and its tract (CN V); Vestibular nuclei (CN VIII); Nucleus Ambiguous (IX, X, XI) and fibers of the cranial nerves IX and X. Cranial Nerves involved in Lateral Mediallary syndrome: V, VIII, IX, X, XI